Function of guardian of genome p53 is whicvh of the following?
1. Increase in Cell proliferation
2. Evasion of Apoptosis
3. Inducer of necrosis
4. Reduce cell mutation rate

Correct answer: 4. Reduce cell mutation rate

Explanation: D- Reduced cell mutation rate. P53 is an example of a pro-apoptotic gene k/a Guardian of Genome. If DNA is damaged / mutated p53, repairs it. But if defect is beyond repair - Activation of pro-apoptotic machinery - Apoptosis Result: - Reduced cell mutation rate The p53 protein is the central monitor of stress in the cell and can be activated by anoxia, inappropriate signalling by mutated oncoproteins, or DNA damage. p53 controls the expression and activity of proteins involved in cell cycle arrest, DNA repair, cellular senescence, and apoptosis. DNA damage is sensed by complexes containing kinases of the ATM/ATR family; these kinases phosphorylate p53, liberating it from inhibitors such as MDM2. Active p53 then upregulates the expression of proteins such as the cyclin dependent kinase inhibitor p21, thereby causing cell-cycle arrest at the G1-S checkpoint. This pause allows cells to repair DNA damage. If DNA damage cannot be repaired, p53 induces additional events that lead to cellular senescence or apoptosis.